A woman with H/o recurrent abortions presents with isolated Increase in APTT. Most likely cause is:
1. Lupus anticoagulant
2. Factor VII
3. Von willebrand's disease
4. Hemophilia A

Correct answer: 1. Lupus anticoagulant

Explanation: The combination of either anticardiolipin and lupus anticoagulant antibodies with or more of the charecteristic clinical features like thrombosis or recurrent pregnancy loss is termef as antiphosholipid syndrome. Refer page no 333 of Text book of obsteics,sheila balakrishnan,2 nd edition